Use of Buspirone is -
1. Anxiolytic
2. Sedative
3. Acute panic attacks
4. Muscle relaxant

Correct answer: 1. Anxiolytic

Explanation: Ans. is 'a' i.e., Anxiolytico Buspirone is a 5HT1A agonist useful for the treatment of anxiety,o Unlike benzodiazepines, it is non-sedative anti-anxiety drug.o Due to delay in the onset of its action, it is used for the treatment of chronic anxiety and is ineffective in acute panic attacks.o Buspirone lacks anticonvulsant and muscle relaxant property'.